Which is the investigation of choice for retroperitoneal soft tissue sarcomas
1. MRI
2. CT Scan
3. USG
4. PET scan

Correct answer: 2. CT Scan

Explanation: Answer- B. CT ScanCT is the investigation ofchoice for retroperitoneal soft tissue sarcomas.